A 32 year old man is Stable 1 year Post - kidney transplant . Which of the following Complications of Transplantation is the most likely cause of death
1. Atherosclerosis
2. Opportunistic infection
3. Lymphoma
4. Persistent hyperparathyroidism

Correct answer: 1. Atherosclerosis

Explanation: m/c Cause of death is Cardiovascular.